Which of the following organisms produces signs and symptoms that mimic acute appendicitis-
1. Enteropathic Escherichia coli
2. Enterobius vermicularis
3. Trichomonas hominis
4. Yersinia enterocolitica

Correct answer: 4. Yersinia enterocolitica

Explanation: Ans. is 'd' i.e., Yersinia enterocolitica